RBC cast is present in -
1. Acute tubular nephritis
2. Acute glomerulonephritis
3. Acute pyelonephritis
4. Acute interstitial nephritis

Correct answer: 2. Acute glomerulonephritis

Explanation: Casts -

Urinary casts are formed only in the distal convoluted tubule (DCT) or the collecting duct (distal nephron).
The proximal convoluted tubule and loop of Henle are not the locations for cast formation.
Casts are formed through the solidification of materials in the tubules of nephrons.
Later the material is flushed out of the kidney upon the production of more urine leaving a small solidified microscopic cylinder that can also contain whatever other materials that might be within the tubules of the kidneys at the time of cast formation.
The microscopic detection of various types of casts can often be a helpful diagnostic tool in the study of various types of renal diseases